Which of the following chugs should NOT be used in setting of severe hypertension in elderly on empirical basis?
1. Enalapril
2. Amlodipine
3. Chlorthiazide
4. Prazosin

Correct answer: 4. Prazosin